Edinger Westphal nucleus is located in:
1. Midbrain
2. Pons
3. Medulla
4. Spinal cord

Correct answer: 1. Midbrain

Explanation: Ans. A. MidbrainThe Edinger-Westphal nucleus (accessory oculomotor nucleus) is the parasympathetic pre-ganglionic nucleus that innervates the iris sphincter muscle and the ciliary muscle. The paired nuclei are posterior to the main motor nucleus (oculomotor nucleus) and anterolateral to the cerebral aqueduct in the rostral midbrain at the level of the superior colliculus